Fastest acting drug in leprosy is -
1. Rifampicin
2. Dapsone
3. Clofazimine
4. Ethionamide

Correct answer: 1. Rifampicin

Explanation: Ans. is `a' i.e., Rifampicin "Rifampicin is the most active agent for leprosy".